Ganser syndrome is a feature of -
1. OCD
2. Conversion disorder
3. Dissociative disorder
4. Schizoid personality disorder

Correct answer: 3. Dissociative disorder

Explanation: Ans. is 'c' i.e., Dissociative disorder Dissociative disordero The essential feature of the dissociative disorder is a disruption in the usually integrated functions of consciousness, memory, identity or perception of the environment Dissociative disorder areDissociative (psychogenic) amnesia It is the most common type of dissociative disorder. Dissociative amnesia is characterized by retrograde amnesia (inability to retrieve stored memories and events leading up to onset of amnesia) and absence of antegrade amnesia (inability to form new long term memories).Dissociative fugue A dissociative fugue may be present when a person impulsively wanders or travels away from home and upon arrival in the new location is unable to remember his/her past (i.e., amnesia for early life). There is loss of personal identity and the person assumes a new identity. There is absence of awareness of amnesia during fugue episode, i.e., Patient denies any memory loss during fugue state. On recovery there is amnesia for fugue episodes and recovery of memory of earlier life (i.e., before the episode of fugue).Dissociative identity disorder (multiple personality disorder) More than one personality appears to possess the individuals, Showing their characteristic behavior. At any instance behavior and memories of one personality is exhibited, patient then is unaware of the other's existance.Depersonalization disorder : - Feeling of detachment from self is referred to as depersonalization. Individuals with this disorder will report feeling as if they are living in a dream or watching themselves on movie screen i.e., feeling detached from self and as if one is an outside observer of oneself. People with this disorder feel like they are "going crazy" and they frequently become anxious and depressed.Dissociative disorders not otherwise specified :-These are the disorders that are characterized by dissociative response that do not meet diagnostic criteria for one of the other dissociative disorder. Important ones areDissociative Trance (Possession) disorders There is temporary exchange of person's personality by a new personality usually attributed to a spirit or divine power. Usually the person is aware of the existance of the other, i.e., possessor (unlike dissociative identity disorder).Ganser's syndrome : - Also known as syndrome of approximate answers. This is characterized by giving approximate answers together with a clouding of consciousness, and frequently accompanied by hallucinations and other dissociative, somatoform or conversion symptoms.